H. pylori is associated with what percentage of gastric ulcers?
1. 10
2. 30
3. 50
4. 70

Correct answer: 4. 70

Explanation: H pylori infection is almost always present in the setting of active chronic gastritis and is present in most patients with duodenal (80% to 95%) and gastric (60% to 90%)ulcers. Most patients with gastric cancer have current or past H. pylori infection.There is also a strong association between mucosa-associated lymphoid tissue (MALT)lymphoma and H. pylori infection.Sabiston 20e pg: 1223